Characteristic of SLE of Kidney -
1. Wire loop lesion
2. Focal sclerosis
3. Focal necrosis
4. Generalized sclerosis

Correct answer: 1. Wire loop lesion

Explanation: Ans. is 'a' i.e., Wire loop lesion